Earliest ocular finding in acoustic neuroma:
1. Diplopia
2. Ptosis
3. Inability to close eye
4. Loss of corneal sensation

Correct answer: 4. Loss of corneal sensation

Explanation: (d) Loss of corneal sensation(Ref. Scott Brown, 8th ed., Vol 2 page 1371)Involvement of 3rd cranial nerve causing diplopia and ptosis is not described in Acoustic neuroma.Motor involvement of facial and thereby inability to close eye occurs uncommonly and that too very late in Acoustic neuroma.Papilloedema because of increased intracranial pressure occurs in the terminal stage of Acoustic neuroma.